Aseptic loosening in cemented total hip replacement, occurs as a result of hypersensitivity response to:
1. Titanium debris
2. High density polythene debris
3. N. N-Dimethyltryptamine (DMT)
4. Free radicals

Correct answer: 2. High density polythene debris

Explanation: B i.e. High density polythene debris Particles of metal (titanium, nickel, chromium etc), cement (PMMA) and polyethylene all can produce periprosthetic osteolysis (aseptic loosening) ; but because they are most numerous polyethylene particles appear to be the major culpritQ.